The following cell types do not participate in repair after brain infarction -
1. Microglia
2. Astrocytes
3. Fibroblasts
4. Endothelium

Correct answer: 3. Fibroblasts

Explanation: Fibroblasts are involved in wound healing, outside the CNS.